Mutism and akinesis in a person, who appears awake and even alerts, is best described as
1. Twilight State
2. Oneiroid State
3. Stupor
4. Delirium

Correct answer: 3. Stupor

Explanation: Stupor is a clinical syndrome of akinesia and mutism but with relative preservation of conscious awareness. Twilight state is disturbed consciousness with hallucinations. Oneiroid state refers to a dream-like state in which the patients may be deeply perplexed and not fully oriented in time and place. Delirium is a bewildered, restless, confused, disoriented reaction associated with fear and hallucinations.